Which of the following is an absolute indication for BPH
1. Prostatitis
2. Voiding bladder pressures>70 cm of water
3. Episode of hematuria
4. Bilateral hydronephrosis

Correct answer: 4. Bilateral hydronephrosis

Explanation: Indications of prostate surgery in BPH - Acute or Chronic urine retension
Multiple UTI
B/L hydronephrosis
> 1 episode of hematuria
Bladder divertuli.